Which pathway does not generate ATPs?
1. Kreb's cycle
2. β oxidation
3. Glycolysis
4. HMP shunt pathway

Correct answer: 4. HMP shunt pathway

Explanation: Shunt pathways do not generate any ATPs (O ATPs)